A patient with drug overdose presents with pin-point pupils, with BP 80/60 mm Hg, pulse 60 bpm with shallow respiration. Which of the following will be used for treatment immediately?
1. Naloxone
2. Naltrexone
3. Methadone
4. Pentazocine

Correct answer: 1. Naloxone

Explanation: (A) Naloxone # Typical syndrome, which includes shallow and slow respirations, pupillary miosis (with mydriasis once brain anoxia develops), bradycardia, hypothermia, and stupor or coma is seen in Opioid Toxicity and Overdosage.> If not treated rapidly, respiratory depression, cardiorespiratory arrest, and death can ensue.> The first step in managing overdose is to support vital signs, using intubation if needed. Definitive treatment is the administration of a narcotic antagonist such as 0.4 mg to 2 mg intravenous or intramuscular naloxone.